Enzyme deficiency in Hunter disease is:
1. L-iduronidase
2. Iduronate sulfatase
3. Heparan sulfamidase
4. Hyaluronidase

Correct answer: 2. Iduronate sulfatase

Explanation: Ans. (b) Iduronate sulfatase(Ref: Robbins 9th/pg 154-155)All Mucopolysaccharidoses are autosomal recessive except Hunter's disease which is X linked recessive Q